A 40 year old man has chronic cough with fever for several months. The chest radiograph reveals a diffuse reticulondular pattern. Microscopically on transbronchial biopsy there are focal areas of inflammation containing epitheloid cell granuloma, Langhans giant cells, and lymphocytes. These findings are typical for which of the following type of hypersensitivity immunologic responses ?
1. Type I
2. Type II
3. Type III
4. Type IV

Correct answer: 4. Type IV

Explanation: Ans. is 'd' i.e., Type IV o Presence of epitheloid cell granuloma, Ianghans giant cells and lymphocytes is characteristic of chronic granulomatous inflammation